Mitral stenosis is associated with -
1. Right ventricular hypertrophy
2. Left ventricular hypertrophy
3. Left axis deviation
4. QRS complex

Correct answer: 1. Right ventricular hypertrophy